Which of the following is the investigation of choice for evaluation of acute head injury?
1. NCCT Head
2. CECT Head
3. MRI Braind
4. PET scan

Correct answer: 1. NCCT Head

Explanation: Ans. a. NCCT Head (Ref: Schwartz 9/e p1519)Investigation of choice for evaluation of acute head injury is NCCT Head.'The non-contrast CT scan of the head is an extremely useful diagnostic tool in the setting of new focal neurologic deficit, decreased mental status, or trauma. It is rapid and almost universally available in hospitals in the United States. Its sensitivity allows for the detection of acute hemorrhage. A contrast-enhanced CT scan will help show neoplastic or infectious processes. In the current era, contrast CT generally is used for those patients who cannot undergo magnetic resonance imaging (MRI) scanning due to pacemakers or metal in the orbits. - Schwartz 9/e p1519'MRI provides excellent imaging of soft tissue structures in the head and spine. MRI angiograms can detect stenosis of the cervical carotid arteries or intracranial aneurysms > 3 mm in diameter. MRI venograms can assess the dural venous sinuses for patency or thrombosis.'- Schwartz 9/e p1519